Stellate cells of von Kuffer are seen in the sinusoids of which of the following organs
1. Spleen
2. Bone marrow
3. Liver
4. Adrenal

Correct answer: 3. Liver

Explanation: SINUSOIDS OF LIVER - Liver cells are arranged in the form of anastomosing plates, one cell thick; and that the plates form a network in the spaces of which sinusoids lie. In this way each liver cell has a sinusoid on two sides. The sinusoids are lined by an endothelium in which there are numerous pores (fenestrae). A basement membrane is not seen. Interspersed amongst the endothelial cells there are hepatic macrophages (Kupffer cells). REF : Inderbir Singh's Textbook of Human Histology, SEVENTH EDITION, pg.no. 292.